Pattern in peripheral smear in iron deficiency anemia ?
1. Normocytic normochromic
2. Hypochromic normocytic
3. Hypochromic microcytic
4. Normochromic microcytic

Correct answer: 3. Hypochromic microcytic

Explanation: Ans. is 'c' i.e., Hypochromic microcytic